Floating teeth sign is seen in
1. Metastasis
2. Osteitis fibrosa
3. Histiocytosis
4. Asbestosis

Correct answer: 3. Histiocytosis

Explanation: Radiological features of Langerhans cell histiocytosis : Punched out lytic lesions of skull with bevelled edges. Geographic skull. Floating teeth sign due to radiolucent lesion around the teeth. Vertebra plana